Which among the following is most resistant to plasmodium falciparum infection?
1. Adult male
2. Adult female
3. Children
4. Newborn infant

Correct answer: 4. Newborn infant

Explanation: Ans: d (Newborn..) Ref: Park, 19th ed, p. 213Even though malaria affect all ages, newborn infants have considerable resistance to infection with P. falciparum.This has been attributed to the high concentration of fetal haemoglobin during the first few months of life which suppress the development of P. falciparum.